Concentration of agar used for solid agar to Inhibit Proteus swarming
1. 1-2%
2. 0.50%
3. 6%
4. 5%

Correct answer: 3. 6%

Explanation: For solid agar - 1-2%
For Semisolid agar - 0.5%
For solid agar to inhibit proteus swarming - 6%